All are used in the management of head injury patient except?
1. Neuromuscular paralysis
2. Nor-epinephrine
3. Sedation
4. Glucocorticoids

Correct answer: 4. Glucocorticoids

Explanation: Glucocorticoids are useful for management of vasogenic edema from tumor or brain abscess. In contrast glucocorticoids are avoided in case of head trauma, ischemic and hemorrhagic stroke. Norepinephrine or pressor therapy is used to maintain a MAP to maintain CPP> 60 mm Hg. Sedation is done with propofol or midazolam. Neuromuscular paralysis will be necessary and the patient will need ventilator support. This will ensure securing the airway and keeping pCO2 between 30-35mmHg.